Which of the following will be seen in Eisenmenger syndrome, EXCEPT?
1. Pruning of peripheral pulmonary arteries
2. Pulmonary veins not distended
3. Return of left ventricle & right ventricle to normal size
4. Dilatation of central pulmonary arteries

Correct answer: 3. Return of left ventricle & right ventricle to normal size

Explanation: The right ventricular size will certainly not return to normal once eisenminger syndrome develops. Dilated central pulmonary arteries and rapid tapering of the peripheral pulmonary vasculature (pruning) are the radiographic hallmarks of Eisenminger's syndrome. Ref: Kligman, Behrman, Jenson, Stanton (2008), Chapter 433, "Pulmonary Hypertension", In the book, "Nelson's Textbook of Pediatrics", Volume 2, 18th Edition, New Delhi, Pages 1936-1937